Commonest cause of acute otitis media in children is
1. H. inflenzae
2. Strepto-pneumoniae
3. Staph aureus
4. Pseudomonas

Correct answer: 2. Strepto-pneumoniae

Explanation: Ans. is 'b' i.e Streptococcus pneumoniae Aetiology of ASOM in children:S. pneumoniae (35%)H. influenzae (25%)M. Catarrhalis (15%)Aetiology in adultsH. influenza (25%)*S. pneumonia (21%)